Negative staining is used to demonstrate
1. Bacterial spore
2. Bacterial flagella
3. Bacterial capsule
4. Bacterial fimbriae

Correct answer: 3. Bacterial capsule